A 39 years old male patient presents with waxy flexibility, negativism and rigidity. Most probable diagnosis is?
1. Excitatory catatonia
2. Stuporous catatonia
3. Paranoid schizophrenia
4. None

Correct answer: 2. Stuporous catatonia

Explanation: Ans. B. Stuporous catatonia Stuporous (retarded) catatonia : Characterized by extreme retardation of psychomotor function, which includes mutism, rigidity, negativism, posturing, echolalia, Echopraxia, Catalepsy (waxy flexibility), ambitendency, gegenhalten, streotypies, stupor, Mannerism, Grimicing, Automatic obedience, and verbigeration.